Principle of retainer placement is/are:
1. Bow is always placed on distal surface of tooth.
2. Prong should have 4 point contact with tooth.
3. Jaw shouldn't extent beyond mesial and distal axial line angles.
4. All of the above.

Correct answer: 4. All of the above.